Transillumination test is positive in:
1. Branchial cyst
2. Thymic cyst
3. Ranula
4. Thyroglossal duct cyst

Correct answer: 3. Ranula

Explanation: Ans. (c) RanulaRef: Dhingra's ENT 5th ed. / 237-38, 400* Ranula is a cystic transilluminant swelling seen in the floor of mouth on one side of frenulum. It arises due to obstruction of sublingual salivary gland duct.# Treatment: complete surgical excision if small, or marsupialization if large.* Thymic cyst can be cystic or solid. Present as a neck mass anterior and deep to middle third of SCM muscle.* Branchial cyst is non-transilluminant, round, fluctuant, non-tender mass present in upper part of neck anterior to SCM muscle.* Thyroglossal duct cyst is cystic midline swelling in the course of thyroid duct.